The following symptoms are common in anorexia nervosa, except:
1. Weight loss
2. Dehydration
3. Mood changes
4. Menorrhagia

Correct answer: 4. Menorrhagia

Explanation: Menorrhagia